Ultrasound frequency used for diagnostic purposes in obstetrics :
1. 1-20 MHz
2. 20-40 MHz
3. 40-60 MHz
4. 60-80 MHz

Correct answer: 1. 1-20 MHz

Explanation: A i.e. 1-20 MHz